Type of Mesenteric ischemia best visualized by CECT:
1. Mesenteric ischemia by embolic occlusion
2. Acute mesenteric artery thrombosis
3. Non-occlusive mesenteric ischemia
4. Acute mesenteric venous thrombosis

Correct answer: 4. Acute mesenteric venous thrombosis

Explanation: Acute mesenteric venous thrombosis is best visualized by CECT .